Omalizumab is administered in bronchial asthma by which route?
1. Oral
2. intramuscular
3. Subcutaneous
4. Aerosol

Correct answer: 3. Subcutaneous

Explanation: Omalizumab is a humanized monoclonal antibody against IgE administered i.v or s.c. It is a monoclonal antibody directed against IgE. it is used rarely as it is expensive ESSENTIALS OF MEDICAL PHARMACOLOGY 6TH EDITION KD TRIPATHI Page No:226